Which of the following is responsibile for pubertal growth in females
1. Decreased level of adrenal androgens at puberty
2. Low level of estrogen at puberty
3. Pulsatile release of GnRh during sleep
4. Increased sensitivity of HPO axis to estrogen

Correct answer: 3. Pulsatile release of GnRh during sleep

Explanation: The GnRH pulses from the hypothalamus results in pulsatile gonadotropin secretion GnRH > FSH,LH > Estradiol Gonadal estrogen is responsible for the development of uterus,vagina and breasts D.C.DUTTA'S TEXTBOOK OF GYNAECOLOGY, Pg no:50, 6th edition